Thinnest wall of the orbit is
1. Medial wall
2. Floor
3. Roof
4. Lateral wall

Correct answer: 1. Medial wall

Explanation: BONY ORBIT The medial walls of two orbits are parallel to each other and, being thinnest, are frequently fractured during injuries as well as during orbitotomy operations and, it also accounts for ethmoiditis being the commonest cause of orbital cellulitis( ethmoidal infection spreads medial wall into orbit). Reference :- A K KHURANA; pg num:-377